Best heat test agent for pulp testing:
1. GP sticks.
2. Rubber wheel.
3. Barlew disk.
4. Rotation friction heat.

Correct answer: 1. GP sticks.